Most common site of metastasis of Medullary carcinoma of thyroid:
1. Liver
2. Lung
3. Kidney
4. Brain

Correct answer: 1. Liver

Explanation: Sites of spread of medullary thyroid carcinoma include local lymph nodes in the neck, lymph nodes in the central portion of the chest (mediastinum), liver, lung, and bone.
 Spread to other sites such as skin or brain occurs but is uncommon.
 Most common site of metastasis of Medullary carcinoma of thyroid is liver.